All of the following state ments of Laryngomalacla true excet,
1. It is the most common congenital anomaly of larynx
2. Associated with omega shaped larynk
3. Shidor increased on crying and relieved on lying phone
4. Surgical Tracheostomy is treatment of choice

Correct answer: 4. Surgical Tracheostomy is treatment of choice